All of the following are m-tor inhibitors except:
1. Sirolimus
2. Everolimus
3. Tacrolimus
4. Temsirolimus

Correct answer: 3. Tacrolimus

Explanation: Tacrolimus & cyclosporine are calcineurin inhibitors.